What is the most common complication of malaria in children
1. Cerebral malaria
2. Respiratory distress
3. Severe malarial anemia
4. Hypogylcemia

Correct answer: 3. Severe malarial anemia

Explanation: Most common serious complication of malaria is severe anemia.